Lipid peroxidation of polyunsaturated lipids of subcellular membranes produces ?
1. Lipofuscin
2. Hemosiderin
3. Both of above
4. None of above

Correct answer: 1. Lipofuscin

Explanation: Ans. is 'a' i.e., Lipofuscin Lipofuscin is an insoluble pigment, also known as lipochrome or wear-and-tear pigment. Lipofuscin is composed of polymers of lipids and phospholipids in complex with protein, suggesting that it is derived through lipid peroxi- dation of polyunsaturated lipids of subcellular membranes.